Which stage of gingivitis is also called subclinical gingivitis
1. Initial stage
2. Advanced stage
3. Early stage
4. Established stage

Correct answer: 1. Initial stage